Which one of the following diseases has the shortest incubation period -
1. Salmonella food poisoning
2. Staphylococcus food poisoning
3. Cholera
4. Diphtheria

Correct answer: 2. Staphylococcus food poisoning